The following are small residual insecticides EXCEPT -
1. Pyrethrum
2. DDT
3. Gamma BHC
4. Malathion

Correct answer: 1. Pyrethrum

Explanation: Anti-adult measures: Residual sprays (DDT, Lindane, Malathion, OMS-33) Space sprays (Pyrethrum extract, residual space insecticide - Malathion and fenitrothion fogging) Park's Textbook of Preventive and Social Medicine, 25th Edition, Pg 833